The following are inherited as autosomal recessive disorder except
1. Phenylketonuria
2. Galactosemia
3. Achondroplasia
4. Wilson's disease

Correct answer: 3. Achondroplasia

Explanation: Robbins basic pathology 6th edition. chapter bones, joints and soft tissue tumours. page no.1220. Achondroplasia is an autosomal dominant disorder. It is a most common disease of groeth plate and is a major cause of dwarfism.Mutation in gene that codes for FGF receptor 3.